In hyperparathyroidism all are seen except:
1. Osteopetrosis
2. Osteoporosis
3. Cysts
4. Brown tumor

Correct answer: 1. Osteopetrosis

Explanation: Answer is A (Osteopetrosis): Hyperparathyroidism is associated with osteoporosis and not with osteopetrosis.